What psychopathology does the term 'perseveration' describe?
1. Patient feeling very distressed
2. Characteristic feature of schizophrenia
3. Characteristic of obsessive compulsive disorder (OCD)
4. Persistent and inappropriate repetition of the same thoughts

Correct answer: 4. Persistent and inappropriate repetition of the same thoughts

Explanation: Perseveration refers to inappropriate recurrence or continuance of a particular behavior (in sucession). E.g. talk the same sentence many times and not able to move away from it. It is unintentional and the patient may or may not be aware of this disorder. Perseveration usually indicates an organic pathology like a brain injury, stroke etc. Ref: Linguistic Disorders and Pathologies: An International Handbook By Gerhard Blanken, page 230.; Medical-Legal and Forensic Aspects of Communication Disorders, By Dennis C. Tanner page 80.